A woman is said to be have Menorrhagia in case the menstrual blood loss is MORE than what quantity?
1. 20 ml
2. 40 ml
3. 60 ml
4. 80 ml

Correct answer: 4. 80 ml

Explanation: Ans. D. 80mlMenorrhagia is a term widely used for the loss of more than 80ml of blood per cycle and frequently producing anemia. Predictors of menorrhagia includes bleeding that leads to anemia with deficiency of iron or a need of transfusion, passage of clots more than 1-inch diameter and changing pad or tampon more than hourly.Normal menstrual bleeding last for an average of 5 days' span with a mean blood loss of about 40ml.Menorrhagia: Bleeding between periods.Polymenorrhea: Bleeding occurs more often than every 21 days.Oligomenorrhea: Bleeding occurs less frequently than every 35 days.